Anterior relations of right ureter are all EXCEPT
1. Gonadal vessels
2. Root of mesentery
3. Ileocolic vessels
4. Bifurcation of right common iliac artery

Correct answer: 4. Bifurcation of right common iliac artery

Explanation: Abdominal artery divides into common iliac artery which divides into external and internal iliac arteries. Gonadal arteries crosses ureter anteriorly. Right colic artery a branch of superior mesentric artery crosses ureter anteriorly. Left colic artery branch of inferior mesentric artery crosses ureter anteriorly. But bifurcation of right common iliac artery crosses ureter posteriorly.